Maximum buffering capacity at physiological pH is for:
1. Valine
2. Cysteine
3. Histidine
4. Glycine

Correct answer: 3. Histidine

Explanation: Ans: c (Histidine) Ref: Vasudevan, 4th ed, p. 195; 5th ed, p. 211Pka value of histidine is 6.8; hence its responsible for maximum buffering at physiological pH.HISTIDINE Semi essential amino acid. Basic amino acid (So positively charged at physiological pH) Forms FIGLU as an intermediary step during formation of formimino THFA (one carbon pool).F1GLU is excreted in urine when folic acid is deficient.